A patient presented with Hypovolemeia and Na is 154, The initial treatment includes
1. Normal saline
2. 1/2 N saline with 5% dextrose
3. Dextran 40
4. Ringer's lactate

Correct answer: 1. Normal saline

Explanation: (A) Normal saline